Multifactorial inheritance is known in ?
1. Neurofibroma
2. Haemophilia
3. Cardiac septal defects
4. Hypophosphataemic rickets

Correct answer: 3. Cardiac septal defects

Explanation: Ans. is 'c' i.e., Cardiac septal defects